Cystic lesion in suprasellar region with calcification
1. Craniophangioma
2. Meningioma
3. pituitary adenoma
4. Oligodendroglioma

Correct answer: 1. Craniophangioma

Explanation: ref : david sutton 9th ed